Miner's cramp are due to ?
1. Heat collaps
2. Heat cramps
3. Sunstroke
4. Heat exhaustion

Correct answer: 2. Heat cramps

Explanation: Ans. is 'b' i.e., Heat cramps Exposure to high atmospheric temperatures causes three clinical conditions :? 1. Heat cramps/Miner's cramps/Stoker's cramp/Firemen's cramp These are painful spasm of voluntary muscles which follow sternous work in a hot atmosphere. These are caused by loss of water and salt in profuse prespiration (sweating). 2. Heat exhaustion/heat collapse/heat syncope/heat prostration There is collapse without any elevation of body tempetature. It occurs due to exposure to high temperature in closed environment and is precipitated by muscular exercise and unsuitable clothing. There is extreme exhaustion with peripheral vascular collapse with scanty prespiration (sweating). 3. Heat stroke (heat hyperpyrexia/sunstroke) it is due to failure of heat regulating mechanism caused by failure of cutaneous circulation and sweating. It occurs due to exposure to heat in open and humid environment. There is sudden collapse with loss of consciousness. Skin is dry, hot flushes and there is no sweating. All signs of shock are present, i.e. low urine out put, low BP, rapid irregular pulse etc.